most comon type of carcinoma thyroid is
1. Anaplastic
2. Papillary
3. Follicular
4. Medullary

Correct answer: 2. Papillary

Explanation: The most common thyroud carcimoma is papillary carcinoma 75 - 85% of all cases. Option 2 is right. Robbins basic pahology. 7th edition. Chapter Endocrine system. Page no. 1177.